At autopsy, the cyanide poisoning case will show the following features, except:
1. Characteristic bitter lemon smell
2. Congested organs
3. Skin may be pinkish or cherry red in color
4. Erosion and hemorrhages in esophagus and stomach

Correct answer: 1. Characteristic bitter lemon smell

Explanation: Ans. Characteristic bitter lemon smell